Which of the following is not a radiological feature of rickets:
1. Metaphyseal cupping
2. Physeal widening
3. Frenkel's line
4. Triradiate pelvis

Correct answer: 3. Frenkel's line

Explanation: Ans. C: Frenkel's Line